Coffee bean appearance is seen with:
1. Testicular torsion
2. Volvulus
3. Meconium ileus
4. Ileal atresia

Correct answer: 2. Volvulus

Explanation: Sigmoid volvulus produces a characteristic bent inner tube or coffee bean appearance, with the convexity of the loop lying in the right upper quadrant. Gastrografin enema shows a narrowing at the site of the volvulus and a pathognomonic bird's beak Ref: Schwartz's principle of surgery 9th edition, chapter 29.